Pralidoxime is ineffective in case of which poisoning ? -
1. Organophosphorous
2. Carbaryl
3. Both
4. None

Correct answer: 2. Carbaryl

Explanation: Ans. is 'b' i.e., Carbaryl o Oximes are contraindicated in carbamates poisoning (carbaryl is a carbamate).